Antitopoismerase I is mark of-
1. Systemic sclerosis
2. Classic Polyarteritis nodosa
3. Nephrotic syndrome
4. Rheumatoid arthritis

Correct answer: 1. Systemic sclerosis

Explanation: Ans. is 'a' i.e., Systemic sclerosis